Leafless fruit Laden tree or Cherry-blossom appearance on a sialogram indicates:
1. Mucoepidermoid cell carcinoma
2. Acinar cell carcinoma
3. Sjogren's syndrome
4. Pleomorphic adenoma

Correct answer: 3. Sjogren's syndrome